Which of the following will manifest as "patchy meningitis" heamorrhaegica Interna
1. Epidural haematoma
2. Subdural haematoma
3. Subarachonoid haemorrhage
4. Brain infraction

Correct answer: 2. Subdural haematoma

Explanation: Chronic subdural hematoma Virchow, in 1857, denied a traumatic origin, gave the name of "patchy meningitis hemorrhagica intern" to this pathology which he explained by Inflammatory processes The traumatic etiology of Chronic subdural hematoma was recognized in the 20th century, especially by Trotter in 1914 Ref: www.ncbi.nlm.nih.gov/pubmed/11915757 by M Guenot - 2001